_______________ of Fluid is required to produce costophrenic angle bluting** on erect chest X-ray, in cases of pleural effusion:
1. 100ml
2. 300ml
3. 500ml
4. 750ml

Correct answer: 2. 300ml

Explanation: At least 100ml of fluid is required to detect by USG.
A minimum of 300ml is required to produce bluttening of costophrenic angle on erect chest X-ray.
About 500ml of effusion is required for detection on clinical examination.